Which of the following anaesthetic agent causes adrenal suppression –
1. Etomidate
2. Thiopentone
3. Ketamine
4. Propofol

Correct answer: 1. Etomidate